Highest risk of ectopic pregnancy is with:
1. Intrauterine device
2. Surgery for previous ectopic
3. Salpingitis
4. Salpingitis isthmica nodosa

Correct answer: 2. Surgery for previous ectopic

Explanation: Ans. is b. i.e. Surgery for previous ectopic(Ref: William Obs 25/e Pg 371)Surgeries for a prior tubal pregnancy for fertility restoration or for sterilization confer highest risk of Ectopic. William Obs 25/e pg 371